All are cerebral neurotics except
1. Opioids
2. Alcohol
3. Nux vomica
4. Cannabis

Correct answer: 3. Nux vomica

Explanation: Neurotics: Ref: FORENSIC MEDICINE AND TOXICOLOGY Dr PC IGNATIUS THIRD EDITION PAGE 399